Most common GI malignancy of childhood -
1. Adenocarcinoma
2. Lymphoma
3. Sarcoma
4. carcinoid

Correct answer: 2. Lymphoma

Explanation: Ans. is 'b' i.e., Lymphoma Over all hemangioma is most common Tumor in infant.Hemangioma is usually benign in Nature.Leukemia is most common malignancy in pediatric age gyp.2nd most common is CNS Tumor= Lymphoma is the most common malignancy of the gastrointestinal tract in children. About 30% of children with non-Hodgkin lymphoma present with abdominal tumors.